Which of the following fungus is an ovoid, budding yeast which is of 3-5 microns in diameter containing elongated filamentous cells joined end to end?
1. Candida albicans
2. Aspergillus
3. Rhizopus
4. Sporothrix

Correct answer: 1. Candida albicans

Explanation: The question clearly points to pseudo hyphae and oval-shaped budding yeasts -both are seen with Candida albicans Ref: Baveja 5th ed pg: 557